Median weight of 100 children was 12 kgs. The standard deviation was 3. Calculate the percent coefficient of variance:
1. 25%
2. 35%
3. 45%
4. 55%

Correct answer: 1. 25%

Explanation: Coefficient of variance = (SD/mean)x100 = (3/12)x100 = 25 Ref: Park 21st edition, page 787.